A 32-year-old asymptomatic woman has a rapidly rising, forceful pulse that collapses quickly. Which of the following is the most likely diagnosis?
1. mitral stenosis
2. mitral regurgitation
3. aortic stenosis
4. aortic regurgitation

Correct answer: 4. aortic regurgitation

Explanation: This pulse is seen in aortic regurgitation.The pressure in diastole is usually 50 mm Hg or lower. This is known as a water hammer or Corrigan's pulse. A bisferiens pulse (in the bisferiens wave form there are two pressure peaks) may be present as well. Systolic blood pressure is elevated.